Tailing of wound suggests:
1. Direction of injury
2. Weapon used
3. Type of wound
4. Surface of weapon

Correct answer: 1. Direction of injury

Explanation: Ans. (a) Direction of injuryRef: The essentials of FSM by KS Narayan Reddy 31st ed. /178* Tailing of wound is one of the characteristics of the incised wound which indicates the direction in which the cut was made.* Incised wounds are deeper at the beginning as more pressure is exerted at this point (head of wound). Towards the end of the cut the wound becomes increasingly shallow, till finally as the knife leaves the tissues, the skin alone is cut. This is known as tailing of wound.